Cell wall structure is found in all EXCEPT:
1. Staph-aureus
2. Pseudomonas aeruginosa
3. Mycoplasma pneumoniae
4. Corymebacterium diphtherae

Correct answer: 3. Mycoplasma pneumoniae

Explanation: (Mycoplasma pneumoniae) (395-AN 7th) (420-CP)General character of mycoplasma and ureaplasma are1. Pleomorphic smallest free living bacteria. They occur as granules andfilaments of various sizes2. Lack cell wall resulting in plasticity of the organisms and do not stain with conventional bacteriological stains3. Requires cholesterol or sterols for growth in culture; lipopolysaccharides - rich molecules attach to the cholesterol rich cell membrane.4. Fastidious - grow slowly on complex enriched media5. "Fried egg" colonies6. M. pneumoniae grows aerobically other species are facultative anaerobes7. Species can be easily differentiated by metabolic characteristics.8. Mycoplasmas differ from viruses in two respects. They contain both RNA and DNA and can reproduce in cell free media.